Children surveyed in cluster sampling for coverage of national immunization programme in?
1. 30 clusters of 5 children
2. 20 clusters of 5 children
3. 30 clusters of 10 children
4. 30 clusters of 7 children

Correct answer: 4. 30 clusters of 7 children